Duration needed to diagnose hypomania is
1. 1 day
2. 4 day
3. 1 week
4. 2 weeks

Correct answer: 2. 4 day

Explanation: Symptoms of elevated mood should be present for 4 days to diagnose as hypomania.